A 25 year drug addict is brought to hospital in an intoxicated state. History suggests cocaine misuse, what is the effect of cocaine on blood vessels?
1. Vasoconstrictor
2. Vasodilator
3. Vasoineffective
4. First constrict then dilates

Correct answer: 1. Vasoconstrictor

Explanation: Cocaine act as a vasoconstrictor by blocking re uptake of norepinephrine at sympathetic nerve endings.Coronary artery constriction causes myocardial infarction and with it the risk of cardioembolic stroke.Systemic artery constriction causes acute hypertension, predisposing to rupture of underlying vascular malformations or aneurysms.Cerebral artery constriction causes cerbral ischemia.